Graft from sister to brother is -
1. Isograft
2. Allograft
3. Autograft
4. Heterograft

Correct answer: 2. Allograft

Explanation: Ans. is 'b' i.e., Allograft